In deep incised wounds, Langer's lines determine
1. Direction
2. Gaping
3. Shelving
4. Healing

Correct answer: 2. Gaping

Explanation: B i.e. Gaping